60 year old diabetic female presented with burning sensation to spicy food. Intraoral examination revealed multiple periodontal abscess and keratotic area in a lace pattern with occasional erosive areas inside the lace pattern.

Provisional diagnosis for this lady will be
1. Oral hairy Leukoplakia
2. Oral lichen planus
3. Oral squamous cell carcinoma
4. Oral pemphigus

Correct answer: 2. Oral lichen planus

Explanation: Oral lichen planus is a common mucocutaneous disease, characterised by bilateral white striations, papules, plaques on the buccal mucosa, tongue and gingiva. Erosive form may present as erosions or frankly ulcerated lesions, with characteristic radiating striae on the periphery of the individual lesions. Grinspan's syndrome is an interesting association of lichen planus, diabetes mellitus and vascular hypertension.